The pathognomonic sign of neurofibromatosis is
1. Cafe-au-lait macules
2. Axillary frekling
3. Shagreen patch
4. None of the above

Correct answer: 2. Axillary frekling

Explanation: B i.e. Axillary freckling Neurofibromatosis is autosomal dominantQ disorder. Axillary freckling (crowe sign) is a pathognomic sign of von- Reckling hausen's type 1 neurofibromatosisQ. Cafe - au - lait macules alone are not absolutely diagnostic of NF1, regardless of their size and number.